The length of tongue spike in tongue thrusting habit breaking appliance should be upto the
1. Incisal edges of maxillary incisors
2. Incisal edges of mandibular incisors
3. Cingulum of mandibular incisors
4. Cervical margin of mandibular incisors

Correct answer: 3. Cingulum of mandibular incisors